Pulsus paradoxus is seen in?
1. Cardiac tamponade
2. Mitral regurgitation
3. Aortic regurgitation
4. Mitral stenosis

Correct answer: 1. Cardiac tamponade

Explanation: ANSWER:(A)Cardiac tamponadeREF:Harrison 18th Ed chapter 227See previous question